A 30 Yr old male underwent excision of the right radial head following surgery, the patient has developed inability to move fingers and thumb of the right hand, he did not have any sensory deficit. Which of the following is most likely cause
1. Injury to posterior Interooseus nerve
2. Iatrogenic injury to common extensor origin
3. Injury to anterior Interooseus nerve
4. High radial nerve palsy

Correct answer: 1. Injury to posterior Interooseus nerve

Explanation: Clinical feaurues of injury to posterior Interosseus nerve : It is prone to be injured in injury and operations of radial Head neck There is no sensory deficit as it is a pure motor nerve Wrist extension is preserved due to spared extensor carpi radialis longus Presents with loss of extension of MP joints Refer Maheshwari 9th ed p 65